Atropine is used in uveitis because of which of the following features
1. Cause spasm of ciliary muscle
2. Contracts the sphincter pupillae
3. decrease blood supply to uveal tissue
4. Increase blood supply to uveal tissue

Correct answer: 4. Increase blood supply to uveal tissue

Explanation: Pilocarpine and not atropine cause sphincter pupillae contraction Use of atropine in uveitis - Relieve spasm - Prevents formation of posterior synechiae - Reduce exudation - Inc blood supply to uvea Rx UVEITIS * DOC: Steroids * Immunosuppressant are used in case of non responding case/ steroid sparing effect is needed